All are true about the features of erythromelalgia , EXCEPT:
1. Unknown aetiology
2. Thrombocytosis is seen
3. Digital infarction is seen
4. Treatment is steroids

Correct answer: 4. Treatment is steroids

Explanation: Erythromelalgia Syndrome of unknown etiology It is associated with thrombocytosis Manifested by erythema, warmth, and pain of the affected appendage and occasionally digital infarction. It usually respond to salicylates. Ref: Harrison, E-18,P-903